All are indications for splenectomy, except :
1. Hereditary spherocytosis
2. Hairy cell leukemia
3. ITP
4. Chediak higashi syndrome

Correct answer: 4. Chediak higashi syndrome